Which of the following receptors is coupled to a heterotrimeric G protein?
1. Glycine receptor
2. GABA-B  receptor
3. Nicotinic acetylcholine receptor at myoneural junction
4. 5-HT3 receptor

Correct answer: 2. GABA-B  receptor

Explanation: The GABA-B receptors are metabotropic and are coupled to heterotrimeric G proteins that increase conductance in K+ channels, inhibit adenylyl cyclase, and inhibit Ca2+ influx.